Good prognostic factor in ALL:
1. Age >10
2. Hyperdiploidy
3. MLL gene rearrangements
4. t(1:19)

Correct answer: 2. Hyperdiploidy

Explanation: B i.e. HyperdiploidyRef: Robbins Pathologic Basis of Disease, 8th edition and Nelson, Textbook of Pediatrics Explanation:Common Chromosomal Abnormalities in the Acute Leukemias of ChildhoodDiseaseSubtypeChromosomal AbnormalityInfluence on PrognosisALLPre-BTrisomy 4 and 10Favorable t(12;21) Pre-Bt(4;11)Unfavorable Pre-Bt(9;22)Unfavorable B-cellt(8;14)None GeneralHyperdiploidyFavorable GeneralHypodiploidyUnfavorablePrognosisMost children with ALL can now be expected to have long-term survival, with the survival rate >80% at 5 years from diagnosis.Important Prognostic FactorsChoice of appropriate risk-directed therapy.Type of treatment chosen.Type of ALL.Stage of disease.Age of the patient.Rate of response to initial therapy (favorable if the patient responds in <1 month).Poor Prognostic IndicatorsAge <1 year or >10 years at diagnosis.Leukocyte count of >100,000/pL at diagnosis; or aSlow response to initial therapy.Hypodiploidy.Philadelphia chromosome.MLL gene rearrangements.Translocations .Favorable Prognostic IndicatorsRapid response to therapy.Hyperdiploidy.Trisomy of specific chromosomes.Rearrangements of TEL/AML1 genes.